Causative agent is present but there is no transmission is known as
1. Elimination
2. Control
3. Eradication
4. Holoendemic

Correct answer: 1. Elimination